The precipitate formed due to reaction of chlorhexidine and sodium hypochlorite, has all of the following except
1. Insoluble
2. Yellowish orange in coulour
3. Result of polymerization reaction
4. causes cyanosis due to methemoglobin formation

Correct answer: 3. Result of polymerization reaction